The following is a feature of Korsakoff's psychosis:
1. Confabulation
2. Encephalopathy
3. Ophthalmoplegia
4. Hallucination

Correct answer: 1. Confabulation

Explanation: Ans. a. ConfabulationRef: Kaplan Step 2 CK Lecture Notes 2018 of Psychiatry;WERNICKE VERSUS KORSAKOFF SYNDROMES Wernicke syndromesKorsakoff syndromesCourseAcuteChronicReversibilityYesNoPresentationAtaxia, nystagmus, and ophthalmoplegiaConfusion, psychosis, anterograde and retrograde amnesiaTreatmentThiamineThiamine